A person is caught for destroying a document which would have been used as an evidence in the court. Which section of IPC deals with such cases?
1. Sec IPC 201
2. Sec IPC 202
3. Sec IPC 203
4. Sec IPC 204

Correct answer: 4. Sec IPC 204

Explanation: Sec IPC 204 punishes a person in case he destroys or obliterates any document which he may be required to produce as an evidence in a court or in a proceeding lawfully held before a public servant as such. Sec 201 IPC: Deals with causing disappearance of evidence of offence, or giving false information to screen offenders Sec 203 IPC: This section makes giving of false information in respect of commission of an offence punishable Ref: Textbook Of Forensic Medicine And Toxicology: Principles And Practice By Vij 4th edn page 465.